Examination of a peripheral smear demonstrates leukemia composed of small mature lymphocytes without blast forms.which of the following is most likely age of this patient?
1. 1year
2. 20 years
3. 45years
4. 65years

Correct answer: 4. 65years

Explanation: Different leukemias tend to affect populations of different ages. The disease described is chronic lymphocytic leukemia which is a disease of older adults.(ref Robbins 8th/604, 9/e p593)